Which is the COMMONEST parotid tumor?
1. Pleomorphic adenoma
2. Monomorphic adenoma
3. Warthin's tumor
4. Adenocarcinoma

Correct answer: 1. Pleomorphic adenoma

Explanation: Pleomorphic adenomas, or benign mixed tumors, are the most common neoplasms of the salivary glands. They represent approximately 60-70% of all parotid tumors and 90% of submandibular benign tumors. These neoplasms affect females more than males and are commonly seen in the third to sixth decades of life. When the deep parotid lobe is involved, a pleomorphic adenoma can present as a parapharyngeal space tumor with soft palate swelling.